Autoclaving is done in?
1. Dry air 121o C and 151 B pressure
2. Steam at 100o C for 30 minutes
3. Steam at 121o C for 15 minutes 15pascal
4. Dry air at 160o C for 30 minutes

Correct answer: 3. Steam at 121o C for 15 minutes 15pascal

Explanation: An autoclave is done at an exposure of heat at 12 minutes at 121oC REF:Ananthanarayan & Panicker's Textbook of Microbiology 9th edition pg no:32